Which of the following is not a symptom of neuroleptic malignant syndrome?
1. Autonomic dysregulation
2. Hypothermia
3. Muscle rigidity
4. Catatonia and stupor

Correct answer: 2. Hypothermia

Explanation: Hypothermia is not a feature of neuroleptic malignant syndrome, hyperthermia is seen in NMS. Neuroleptic malignant syndrome is a fatal side effect of antipsychotic use. It is characterized by 1. muscle rigidity, 2. Fever 3. increased CPK (creatine phosphokinase) levels. Other symptoms include diaphoresis, tremors, confusion, autonomic disturbances, liver enzyme elevation and leukocytosis Treatment: 1. Withdrawal of antipsychotic and adequate hydration 2. DOC-Dantrolene